Head shape in Down's syndrome is typically
1. Mesocephalic
2. Dolicocephalic
3. Brachycephalic
4. Acephalic

Correct answer: 3. Brachycephalic